Soap bubble appearance is seen in which meningo- encephalitis -
1. Cryptococcus
2. Muconnycosis
3. Tubercular
4. HSV

Correct answer: 1. Cryptococcus